Following sexual intercourse, a person develops pain in the left testes that does not get relieved on elevation of scrotum. Diagnosis is:
1. Epididymo-orchitis
2. Torsion testis
3. Fournier's gangrene
4. Tumor testes

Correct answer: 2. Torsion testis

Explanation: Elevation of testis reduces the pain in epididymo-orchiditis and makes it's worse in torsion of testis. Ref: Radiology Illustrated: Uroradiology By Seung Hyup Kim, 2012, page 910; Bailey and Love's Short Practice of Surgery, 23rd Edition, Pages 1040, 1380.